"Genital elephantiasis" is caused by
1. Lymphogranuloma venereum
2. Chancroid
3. Syphilis
4. Rickettsia

Correct answer: 1. Lymphogranuloma venereum

Explanation: (Lymphogranuloma venereum) (428-A7th)LYMPHOGRANULOMA - VENEREUM (Lymphogranuloma inguinale, poradenitis, climatic or tropical bubo)- Caused by chlamydia -trachomatis - L2 (Most commonly)- Preferred site - regional lymphnodes- Primary lesions - painless papulovesicular lesion ** on the external genitalia- Women - hemorrhagic proctitis with regional lymphadenitis- Late sequelae in women leading to rectal strictures and elephantiasis of the vulva (esthiomene)**Chancroid or soft sore is caused by Haemophilus - ducryi "School of fish" or rail rod track" appearance- Tender nonindurated irregular ulcers on the genitalia